Turner syndrome presents with which heart defect?
1. Patent ductusarteriosus
2. Atrial septal defect
3. Coarctation of aorta
4. Ventricular septal defect

Correct answer: 3. Coarctation of aorta

Explanation: Ans.(c) Coarctation of aortaRef: Harrison 19th ed. /1620Remember the following information:PATENT DUCTUS ARTERIOSUS* Atrial septal defect* Coarctation of aortaVentricular septal defectCONGENITAL RUBELLA SYNDROME* Down syndrome* Turner syndrome* Fetal alcohol syndrome